Glucose mediated insulin release is mediated through
1. ATP dependent K+ Channels
2. cAMP
3. Carrier modulators
4. Receptor phosphorylation

Correct answer: 1. ATP dependent K+ Channels

Explanation: Ans. (a) ATP dependent K+ Channels(Ref: Ganong, 25th ed/p.43l)Glucose mediated insulin release is mediated through ATP dependent K+ ChannelsATP sensitive potassium channel contains the binding site for sulfonylurea group of oral hypoglycemic drugs